SRK formula is used to calculate -
1. Power of intraocular lens
2. Corneal curvature
3. Corneal endothelial cell count
4. Extent of retinal detachment

Correct answer: 1. Power of intraocular lens

Explanation: Intraocular lesn power calculation:- Which requires Keratometry (K), Axial length of eyeball or Biometry (L) and a constant (A). It is calculated SRK formula :- (Ref: Yanoff; Jay S. Duker 2009 Ophthalmology 3rd/e p.416-419)